Ideal substance for measuring GFR should have all characteristics except
1. Should be secreted in tubules
2. Should be non-toxic
3. Should not remain in the body
4. Should not be protein bound

Correct answer: 1. Should be secreted in tubules

Explanation: The Ideal substance to measure GFR is Inulin or following reasons ; It is non-toxic; It is freely filterable by the glomeruli; it is not bound to proteins It is neither secreted nor reabsorbed by the tubules; It is not synthesized, stored, or destroyed by the kidney . Thus, Filtered inulin = excreted inulin .Hence, it will give an exact estimate of the GFR. Endogenous creatinine clearance is used most commonly used to estimate the GFR.